An unimmunized child is brought to you with a history of URTI. On examination you find signs suggestive of diphtheria. Which type of diphtheria would suggest the worst prognosis?
1. Tonsillopharyngeal
2. Laryngeal
3. Nasal
4. Cutaneous

Correct answer: 2. Laryngeal

Explanation: Tonsillopharyngeal type of diphtheria is the commonest type of diphtheria infection. Here there is a small chance for bullneck and toxemia. In case of laryngeal diphtheria there is a real danger of asphyxia and urgent tracheostomy may be required to save the patient. Hence it is the most severe form of the disease and has got the worst prognosis. Nasal diphtheria is the mildest form of respiratory diphtheria. Cutaneous diphtheria is caused by non toxigenic strains. Ref: Textbook of Microbiology by Ananthanarayan, Edition 6, Page 217; Harrison, Edition 17, Page 891, 892